Following is the advantage of anastrazole over tamoxifen in cases of breast carcinoma -
1. Not a teratogen
2. Causes more cardiomegaly
3. Prevents estrogen production from extraovarian sources
4. All of the above

Correct answer: 3. Prevents estrogen production from extraovarian sources

Explanation: Ans. is 'c' i.e., Prevents estrogen production from extraovarian sources o Both the drugs anastrazole and tamoxifene are used in the medical management of patients with breast carcinoma. These patients mostly belong to old age group and the main source of estrogen is from peripheral conversion of androgen to estrogen using aromatase enzyme.o Tamoxifene antagonizes the action of estrogen on breast and so is used in breast carcinoma management, it does not have an effect on the peripheral conversion of androgen to estrogen.o Anastrazole on the other hand is an aromatase inhibitor and is responsible to block the peripheral conversion of androgen to estrogen; thus blocking the main source of estrogen in post menopausal older age group women. This is an advantage of using anastrazole over tamoxifene.Note:# Letrozole group of drugs (anastrazole) are highly teratogenic and should be avoided during pregnancy.# Cardiomyopathy is a serious side effect of tamoxifene.# Drug of choice for Her2/Neu +ve carcinoma breast is transtuzumab.